In a chronic alcoholic all the following may be seen in the liver except
1. Fatty degeneration
2. Chronic hepatitis
3. Granuloma formation
4. Cholestatic hepatitis

Correct answer: 3. Granuloma formation

Explanation: Refer Robbins page no 842